Hounsfield unit is zero for which of the following_____:
1. Air
2. Water
3. Fat
4. Dense bone

Correct answer: 2. Water

Explanation: Ans. B. Water* Water is arbitrarily assigned a value of 0HUHU of different tissues of body:* Cortical Bone:+1000HU (Bright white)* Solid soft tissue: from +40 to +80HU (sometimes upto +300)* Acute hemorrhage:+45 to+65 HU* Water: 0HU (Grey)* Fat:-100HU* Lungs:-950 to-700HU* Air:-1000HU (Jet black)* In CT, bone and hemorrhage are white, air and fat is black.